Which of the following is not associated with mucous secretion?
1. Paneth cell
2. Goblet cell
3. Brunner's glands
4. Crypts of Lieberkuhn

Correct answer: 1. Paneth cell

Explanation: Panthet cells are not associated with mucous secretion, it secretes lysozyme and also has some phagocytic functions. Goblet cells are specialized mucus secreting cells present throughout the intestine. Brunners glands are found in the submucosa of small intestine, they produce viscid, mucoid, alkaline secretion which neutralize acid chyme. Crypts of Lieberkuhn secretes mucus, electrolytes and water.